Time required for ovulation from the onset of LH surge is
1. 12 hours
2. 24 hours
3. 36 hours
4. 48 hours

Correct answer: 3. 36 hours

Explanation: From the onset of the LH surge, it takes 34-36 hours and from the peak it takes 10-12 hours to ovulate. The midcycle LH surge is responsible for a dramatic increase in local concentrations of prostaglandins and proteolytic enzymes in the follicle. These substances progressively weaken the follicular wall and ultimately allow a perforation to form.